Socratic method of communication is used to
1. One way communication
2. Two way communication
3. Verbal communication
4. Formal communication

Correct answer: 2. Two way communication